The odontogenic neoplasm, which is composed of loose, primitive-appearing connective tissue that resembles dental pulp, microscopically is known as _____.
1. Odontoma
2. Ameloblastoma
3. Ameloblastic fibroma
4. Odontogenic myxoma

Correct answer: 4. Odontogenic myxoma

Explanation: Odontogenic myxomas are connective tissue neoplasms that contain little collagen. This gives them an embryonic look microscopically